Increase in height in first year is by –
1. 40%
2. 50%
3. 60%
4. 75%

Correct answer: 2. 50%

Explanation: At birth, the average height of a child is 50 cm.
            During first year height increases about 50% of birth height (25 cm).